Which of the following is synthetic form of Triiodothyronine (T3) ?
1. Liothyronine sodium
2. Levothyroxine sodium
3. Liotrix
4. None of the above

Correct answer: 1. Liothyronine sodium

Explanation: THYROID AGENTS : 1. Levothyroxine (T4) - Sythetic form of thyroxine 2. Liothyronine (T3) - Sythetic form of triodothyronine 3. Liotrix - 4:1 ratio of T4: T3 Note : Liothyronine (T3) is three to four times more potent than levothyroxine, it is not recommended for routine replacement therapy because of its shorter half-life (24 hours), requiring multiple daily doses, and difficulty in monitoring its adequacy.